Squamous cell carcinoma is characterized by _________ edges
1. Undermined
2. Pearly & rolled
3. Indurated & everted
4. Punched out

Correct answer: 3. Indurated & everted

Explanation: SCC is characterized by indurated & everted edges
BCC is characterized by pearly rounded edges.